Which of the following is true about distraction osteogenesis in children?
1. Decreased rate of distraction
2. Distraction cannot be performed in children
3. Decreased latency period
4. None of the above

Correct answer: 3. Decreased latency period